Feature(s) of Lipoid nephrosis is/are -a) Normal on light microscopyb) Epithelial depositc) Glomerular tuft sclerosisd) Diffuse, uniform effacement of foot processese) Tubular sclerosis
1. b
2. c
3. ac
4. ad

Correct answer: 4. ad

Explanation: Lipoid nephrosis (minimal change disease) shows no obvious glomerular lesion on light microscopy.
On electron microscopy, there is effacement of foot process (obliteration of foot processes) and fusion of foot processes of the glomerular epithelial cells.